Which causes antral gastrin release
1. Antral distension
2. Acid
3. Secretin
4. Calcitonin

Correct answer: 1. Antral distension

Explanation: Gastrin release stimulated by
-        Distension of stomach
-        Peptides and amino acids in stomach and duodenum
-        Vagal neurotransmitter GRP
-        Epinephrine
 Gastrin release inhibited by
-        Acid in duodenum
-        Secretin, GIP, VIP, CCK, somatostatin, glucagon, calcitonin